The ducts of all the following glands consist of stratified cuboidal epithelium except:
1. Sweat gland
2. Sebaceous glands
3. Salivary glands
4. Pancreas

Correct answer: 2. Sebaceous glands

Explanation: B i.e. Sebaceous glands